All the drugs are used in the treatment of Giardiasis except:
1. Nitazoxanide
2. Metronidazole
3. Tinidazole
4. Diloxanide furoate

Correct answer: 4. Diloxanide furoate

Explanation: Treatment options for Giardiasis:metronidazole (250 mg tds for 5 days)tinidazole (2 g once by mouth)nitazoxanide (500 mg bd for 3 days)paromomycin, an oral aminoglycosideDiloxanide furoate is a lumenal amebicide(ref:Harrison's 18/e p1731, 17/e p1313)